Anterior ethmoidal nerve is a branch of nasociliary nerve. All of the following areas are supplied by anterior ethmoidal nerve, EXCEPT?
1. Maxillary sinus
2. Interior of nasal cavity
3. Dural sheath of anterior cranial fossa
4. Ethmoidal air cells

Correct answer: 1. Maxillary sinus

Explanation: The infraorbital nerve (CN V-2) primarily innervates the maxillary sinus.Anterior ethmoidal nerve supplies the ethmoid sinus, nasal cavity, and skin on the tip of the nose. Dura mater of anterior cranial fossa is supplied by anterior and posterior ethmoidal nerves.